Entacapone is an anti–Parkinsonism drug. It acts by :
1. Agonism at dopamine receptors
2. Antagonism at dopamine receptors
3. Monoamine oxidase inhibition
4. Cathecol–o–methyl transferase inhibition.

Correct answer: 4. Cathecol–o–methyl transferase inhibition.